Typical silvery scales of psoriasis are absent in -
1. Scalp
2. Knee
3. Groin
4. Elbow

Correct answer: 3. Groin

Explanation: PSORIASIS:-Inflammatory skin disease.Genetic predisposition. Psoriasis susceptibility 1 (PSORS1) is the most important susceptibility locus. Clinical features:-1. Classic lesion-Well defined erythematous plaque with a silvery white scales.2. Size varies from pin point papules to plaques. Types:-1. Chronic plaque psoriasis/psoriasis vulgaris:- Most common type Erythematous scaly plaques with silvery white scales of various sizes distributed symmetrically on the extensor aspect of extremities 2. Eruptive psoriasis:- More commonly seen in children and young adults with a shower of small papules and plaques all over the trunk and limbs. lesions are of size 1-2 cm, associated with streptococcal infection 3. Flexural psoriasis:-Involvement of flexural areas-axillae,perineum ,groin and inflammatory folds. Scaling minimal or absent. 4. Sebo - psoriasis : Occurs in sebum rich areas.Predominantly on scalp,face,inframammary region, retroauricular regions Moist erythematous lesions with yellow greasy scales. {Reference: IADVL textbook of dermatology page 1032